Antigen involved in post transplant rejection -
1. HLA - Antigen
2. Nuclear antigen
3. Polysaccharide
4. DHA

Correct answer: 1. HLA - Antigen

Explanation: Ans. is 'a' i.e., HLA - antigen For rejection of graft, there must be some antigen that is recognized as foreign and the most important antigen is HLA antigen of grafted tissue.